A 70 Year old male complains of ulceration on Lower lip since 1 moth with Lymph node involvement. Patient has history of tobacco chewing since 30 years 6-7 times per day, patient also complains of loss of weight since 2 months and change in voice since one month

A reliable clinical condition to consider for the diagnosis as malignancy is
1. An ulcerative lesion
2. An ulcerative and painful lesion
3. Ulceration and fixation of the lymph node
4. Bilateral involvement of lymph node

Correct answer: 3. Ulceration and fixation of the lymph node